L. monocytogenes causes a variety of diseases, including food poisoning. Listeriae are small, Gram-positive, motile rod-shaped bacteria. Which of the following best describes these microorganisms?
1. Listeria are facultative intracellular pathogens
2. Once infected, the immune system cannot destroy Listeria
3. Listeria cannot be cultivated on artificial media
4. Flagella are produced both at room temperature and at 37degC

Correct answer: 1. Listeria are facultative intracellular pathogens

Explanation: Listeria multiply both extracellularly and intracellularly, but under most circumstances a competent immune system eliminates Listeria. As expected, listeriosis is seen in the very young, the very old, and in people with compromised immune systems. Reports of Listeria food outbreaks have implicated such foods like milk products.